All passes through lesser sciatic foramen, except?
1. Inferior gluteal vessels
2. Internal pudendal vessels
3. Pudendal nerve
4. Nerve to obturator internus

Correct answer: 1. Inferior gluteal vessels

Explanation: Inferior gluteal vessels